Cutaneous larva migrans is caused by:
1. Ancylostoma braziliense
2. Anisakiasis
3. Necator americanus
4. Ancylostoma catifera

Correct answer: 1. Ancylostoma braziliense

Explanation: Ref. Textbook of Microbiology and Immunology BY Parija. Page. 645 
 
The most common cause is A. braziliense, so we prefer that as the answer
It is a skin disease in humans, caused by the larvae of various nematode parasites of the  hookworm family (Ancylostomatidae).

The most common species causing this disease in the Americas is Ancylostoma braziliense.  
These parasites live in the intestines of dogs, cats and wild animals and should not be confused with  other members of the hookworm family for which humans are definitive hosts, namely  Ancylostoma duodenale and Necator americanus.  
Colloquially called creeping eruption due to its presentation, the disease is also somewhat  ambiguously known as "ground itch" or (in some parts of the Southern USA) "sandworms", as the  larvae like to live in sandy soil.  
Another vernacular name is plumber's itch.